Which of the following characterizes pathological jaundice?
1. Jaundice on 3rd day
2. Jaundice upto the trunk
3. High colored urine
4. Jaundice accompanied by yellow stools

Correct answer: 3. High colored urine

Explanation: c. High colored urine(Ref: Nelson's 20/e p 871-879, Ghai 8/e p 172-176)Pathological Jaundice:May appear in 1st 24 hoursMay stain palms and solesHigh coloured urine and clay colored stools may be presentMay persist beyond 3 weeks